Which of the following is the most commonly used site for Deep Brain Stimulation to reduce frequency of Parkinsonism symptoms -
1. Striatus
2. Globus Pallidus
3. Subthalamic Nucleus
4. Putamen

Correct answer: 3. Subthalamic Nucleus